Which of the following shows biconvex shape on CT-
1. Epidural hematoma
2. Subdural hematoma
3. Both
4. None

Correct answer: 1. Epidural hematoma

Explanation: Ans. is 'a' i.e., Epidural hematoma o Biconvex (lens shaped or lenticular) hyperdense(2/3rd) or mixed density lesion( 1 /3rd) - Epidural hematomao Crescent (concao-convex) hyperdense (<2 weeks) or isodense (2-4 weeks) or hypodense (>4 weeeks) lesion - subdural hematoma